Drug of choice for maintenance therapy in PSVT is-
1. Amiodarone
2. Lignocaine
3. Verapamil
4. Adenosine

Correct answer: 3. Verapamil

Explanation: Ans. is c' i.e., Verapamilo Amongst the options provided Verapamil is the drug of choice for maintenance therapy in pateints with PSVT.Treatment options for Supraventricular Tachycardiao Physiologic interventionRestValsalva maneuvers : Gag reflex, ice packs, etcCarotid massageAvoidance of inciting factors : Caffeine, tobacco, alcohol, pseudoephedrine, stress, etc.o MedicationsDrugs mth_direct effect on artrioventricular node or accessory pathway :Amiodarone (Cordarone), Sotalol (Betapace), class IC drugs (flecainide , propafenone , etc).o Radiofrequency ablationo Electronic pacingPSVT|||No limbing symptoms No Pre-excitationMild to miderate symptoms No Pre-excitationSevere symptoms or Pre-excitation| | |NoTherapy PotentPreference CatheterAblation |Unsuccessful | || DrugTherapyUnsuccessful------CatheterAblation1 Drug Therapy